In a given population, total births in a year are 4050. There are 50 still births. 50 neonates die within first 7 days of life whereas the number of deaths within 8-28 days of life is 150. What is the Neonatal mortality rate in the population?
1. 12.5
2. 50
3. 49.4
4. 62.5

Correct answer: 2. 50

Explanation: In the given question,
Total neonatal deaths = Total early neonatal deaths + Total late neonatal deaths = 50 + 150 = 200
Total live births = Total births – Total stillbirths = 4050 – 50 = 4000
Thus, Neonatal mortality rate,
NNMR = 200/4000 × 1000 = 50 per 1000 live births.